Zileuton acts by -
1. COX-II inhibitor
2. LOX-inhibitor
3. Mast cell stabilizers
4. M3 receptor blocker

Correct answer: 2. LOX-inhibitor

Explanation: (B) (LOX - Inhibitor) (229 - KDT 7th) (942 - Goodman & Gillman 12th)ZILEUTON* Zileuton, an inhibitor of 5 - LOX - and selective cysLT- receptor antagonists (Zafirlukast, pranlukast and Montelukast)* Treatment of mild to moderate asthma.* Duration of action is short and it has hepatotoxic.* Leukotriene antagonists - Montelukast, Zafirlukast.* Anti IgE - antibody - Omalizumab - uses moderate to severe allergic asthma.* Nodocromii is mast cell stabilizer.* Loading dose of Aminophylline is 5-6 mg/Kg*** Long acting beta - 2 (b2) agonist is - Salmctrol*** Albuterol - selective b2 receptor agonist.* Lctrozole is an aromatase inhibitor.